True about surgical wounds are all except
1. No antibiotics required in clean surgery
2. Incision of abscess is contaminated wound
3. Spillage of stomach content converts a clean contaminated case to a contaminated case
4. In clean contaminated wounds infections rate is < 10%

Correct answer: 2. Incision of abscess is contaminated wound

Explanation: Preoperative antibiotic prophylaxis does not significantly reduce the frequency of postoperative wound infection in clean elective general surgical operations.So the routine prophylactic use of antibiotics in clean general surgical operations is not recommended. Incision of abscess comes under dirty wounds. Infection rate of clean contaminated is less than 10% Bailey and love 26th edition Pg 63